Vector control for yellow fever around an airport is done upto a distance of-
1. 400m
2. 200m
3. 500m
4. 100m

Correct answer: 1. 400m

Explanation: Ans. is 'a' i.e., 400 m o Airports and seaports are kept free from the breading of insect vectors over an area extending at least 400 meters around their peripeters.